Pudendal nerve supplying motor part to external sphincter is derived from -
1. L5-S1 roots
2. S1-S2 .roots
3. L2-L3 roots
4. S2-S3 roots

Correct answer: 4. S2-S3 roots

Explanation: Ventral division of sacral plexus gives rise to pudendal nerve. So the root value is S2-4